Botox Is used in treatment of:
1. Achalasia cardia
2. Toicollid
3. Both
4. None

Correct answer: 3. Both

Explanation: Botox is derived from botulinum toxin It decreases acetyl choline release by degrading synaptobrevin